Hyaline arteriolosclerosis can be associated with all of the following conditions except:
1. Diabetes mellitus
2. Aging
3. Benign hypertension
4. Malignant hypertension

Correct answer: 4. Malignant hypertension

Explanation: Malignant Hypertension Associated with Hyperplastic arteriolosclerosis - onion skin appearance of blood vessel. This lesion occurs in severe hypertension; vessels exhibit concentric, laminated("onion-skin") thickening of the walls with luminal narrowing. The laminations consist of smooth muscle cells with thickened, reduplicated basement membrane; in malignant hypertension, they are accompanied by fibrinoid deposits and vessel wall necrosis (necrotizing arteriolitis), particularly in the kidney .